Mid-diastolic Murmur with presystolic accentuation is typically seen in:
1. Mitral stenosis
2. Mitral Regurgitation
3. Aortic stenosis
4. MVP

Correct answer: 1. Mitral stenosis

Explanation: Answer is A (Mitral Stenosis) Mid diastolic murmur with with presystolic accentuation is typically seen in mitral stenosis. Mitral stenosis is associated with a low-pitched rumbling diastolic murmur heard best at the apex. The murmur typically peaks during mid-diastole and again immediately before the, first heart sound (Pre-systolic accentuation)' - Evidence Based physical diagnosis (Elsevier) 2012/397 Mitral stenosis is associated with a low-pitched rumbling diastolic murmur heard best at the apex with the patient in lateral decubitus position. In patients with sinus rhythm, the murmur often reappears or becomes louder during atrial systole (presystolic accentuation)' - Harrison